Which of the following is the characteristic feature of systemic sclerosis:
1. Increased calcium in tissues.
2. Increased collagen in tissues.
3. Increased GAG in tissues.
4. None.

Correct answer: 2. Increased collagen in tissues.